The toxic effect of beta receptor antagonists includes all the following EXCEPT
1. Hypoglycemic episodes in diabetes
2. Worsening of preexisting asthma
3. Ischemic cardiac episode on abrupt discontinuation
4. Precipitate migrainic effect

Correct answer: 4. Precipitate migrainic effect